Lyre sign is seen in
1. Thyroglossal fistula
2. Carotid body tumor
3. Carcinoma maxilla
4. Abdominal aortic aneurysm

Correct answer: 2. Carotid body tumor

Explanation: Carotid body tumour arises from the chemoreceptor cells in the carotid body, hence also called chemodectoma. Mostly presents after 40 years. It is a very slow-growing tumour and the history of mass in the neck may extend into several years. It presents as a painless swelling which is pulsatile.MRI angiography shows splaying of internal and external carotid arteries (Lyre's sign).Dhingra 6e pg: 392